A 45-year-old hypertensive male patient presented in the casualty with 2-hour history of sudden onset of a severe headache associated with nausea and vomiting. On clinical examination, the patient had neck stiffness and right-sided ptosis. Rest of the neurological examination was normal. What is the clinical diagnosis? -
1. Hypertensive brain haemorrhage
2. Migraine
3. Aneurysmal subarachnoid haemorrhage
4. Arterio venous malformation haemorrhage

Correct answer: 3. Aneurysmal subarachnoid haemorrhage